World Health Day is celebrated on:
1. 1st December
2. 31st may
3. 7th april
4. 8th may

Correct answer: 3. 7th april

Explanation: 7th April